In which case pneumococcal vaccine is most effective
1. When given preoperatively
2. When given post operatively
3. Against all strains of bacteria
4. Against gram negative bacteria

Correct answer: 1. When given preoperatively

Explanation: • When elective splenectomy is planned, vaccination against encapsulated bacteria should be given at least 2 weeks before surgery.
• If spleen is removed in emergency, vaccination should be given as soon as possible following surgery.